Most severe form of scabies?
1. Norwegian scabies
2. Neular sabies
3. Animal scabies
4. Genital

Correct answer: 1. Norwegian scabies

Explanation: A i.e. Norwegion scabies